Post MI:systolic murmur in left lower sternum may be dueto all, EXCEPT -
1. Complete heart block
2. Rupture of interventrictilar septum
3. Papillary muscle dysfunction
4. Ischemic:cardiorny.opathy

Correct answer: 1. Complete heart block